Most common cause of UTI in young females is?
1. Staph saprophyticus
2. E.coli
3. Klebsiella
4. Proteus

Correct answer: 2. E.coli

Explanation: Ans. (b) E.coliRef: Harrison's 17/e /1820-1823